The motility of cell is due to protein-
1. Motilin
2. Tubulin
3. Laminin
4. Tactilin

Correct answer: 2. Tubulin

Explanation: Functions of Microtubules include determination of cell shape and various cell movements.